Which of the following phase is virtually eliminated in high copper amalgam:
1. Gamma-I phase
2. Gamma-II phase
3. Beta phase
4. None

Correct answer: 2. Gamma-II phase